Serratus aerior is supplied by ?
1. Thoracodorsal nerve
2. Axillary nerve
3. Musculocutaneous nerve
4. Nerve of bel 1

Correct answer: 4. Nerve of bel 1

Explanation: Ans. is 'd' i.e., Nerve of bell